Which of the following ophthalmologic condition shows 'vossius ring' during examination?
1. Corneal ulcer
2. Retinal detachment
3. Traumatic iritis
4. Angle closure glaucoma

Correct answer: 3. Traumatic iritis

Explanation: In traumatic iritis, the inflammatory cells and flare in the anterior chamber, and finely dispersed cellular keratic precipitates on the corneal endothelium. There may be a 'Vossius ring' on the anterior lens capsule. It is a circular ring of brown pigment which occurs due to striking of the contracted pupillary margin against the crystalline lens. It is always smaller than the size of the pupil. Ref: Augsburger J.J., Correa Z.M. (2011). Chapter 19. Ophthalmic Trauma. In P. Riordan-Eva, E.T. Cunningham, Jr. (Eds), Vaughan & Asbury's General Ophthalmology, 18e.